Corpus callosum
1. Projection fibers
2. Commissoral fibers
3. Association fibers
4. None

Correct answer: 2. Commissoral fibers

Explanation: Corpus callosum is the largest commissure of brain, interconnecting two identical/ corresponding areas of cerebral hemispheres.Other commissures are:Anterior commissurePosterior commissureHippocampal commissureHabenular commissureNOTE: The primary visual area and hand region of primary somatosensory area of cortex have no commissural fibres.(Ref: Vishram Singh textbook of clinical neuroanatomy, second edition, pg- 163)